With respect to repair of cleft palate, the soft palate is first repaired, ideal time for which is?
1. 12 months
2. 9 months
3. 6 months
4. 3 months

Correct answer: 3. 6 months

Explanation: Timing of primary cleft lip and palate procedures Cleft lip alone Cleft palate alone Cleft lip and palate Unilateral: one operation at 5-6 months Bilateral: One operation at 4-5 months Soft palate only: One operation at 6 months Soft and hard palate: Two operations Soft palate at 6 months Hard palate at 15-18 months Unilateral: Two operations Cleft lip and soft palate at 5-6 months Hard palate and gum pad with or without lip revision at 15-18 months Bilateral: two operations Cleft lip and soft palate at 4-5 months Hard palate and gum pad with or without lip revision at 15-18 months